The mechanism of action of tetracyclines involves:
1. Binding of a component of the 50S ribosomal subunits
2. Inhibition of translocase activity
3. Blockade of binding of aminoacyl-tRNA to bacterial ribosomes by binding to 30S ribosome
4. Selective inhibition of ribosomal peptidyl transferase

Correct answer: 3. Blockade of binding of aminoacyl-tRNA to bacterial ribosomes by binding to 30S ribosome

Explanation: - Chloramphenicol acts by inhibiting peptide bond formation. - Tetracyclines act by binding to 30S ribosome and inhibiting the binding of acyl tRNA to A site of mRNA-ribosome complex. - It enters bacteria by forming pores in the cell membrane and by active transport which pumps it across the cell membrane. - Macrolides, Clindamycin and Quinpristine act by inhibiting translocation.